A community has a population of 10,000 and a birth rate of 36 per 1000.5 maternal deaths were reported in the current year the MMR is -
1. 14.5
2. 13.8
3. 20
4. 5

Correct answer: 2. 13.8

Explanation: Ans. is 'b' i.e., 13.8 o You should keep in mind that MMR denotes maternal mortality ratio (not maternal mortality rate).